Fetal middle cerebral artery Doppler is most useful in the evaluation of -
1. intrauterine growth restriction
2. Preeclampsia
3. Fetal anemia
4. Fetal metabolic disorders

Correct answer: 3. Fetal anemia

Explanation: Ans-CMCA - PSA for fetal anemia in Rh- pregnancy.